Delusion is not seen in :
1. Depression
2. Anxiety
3. Schizophrenia
4. Mania

Correct answer: 2. Anxiety

Explanation: B. i.e. Anxiety